False regarding Red phosphorus is
1. Amorphous solid mass
2. Tasteless
3. Highly toxic
4. Nonluminous

Correct answer: 3. Highly toxic

Explanation: Red phosphorus is inert unless contaminated with yellow phosphorus. This is a reddish-brown powder, which has no taste or smell and is nonpoisonous. It is used in the manufacture of 'safety matches'. The tip of the matchstick contains a mixture of potassium chlorate and antimony sulphide. It is ignited by rubbing against the side of the matchbox known as the striking surface, which is covered with a thin layer of red phosphorus and powdered glass . Ref : Krishnan vij Textbook of Forensic medicine and Toxicology 5th edtion ; pg no - 463